Drug which does not cause gynaecomastia:
1. Digoxin
2. Amiloride
3. Cimetidine
4. Ketoconazole

Correct answer: 2. Amiloride

Explanation: Ans. B: Amiloride Amiloride is reported to cause photosensitivity (no documented gynaecomastia)